A 30-year-old woman para 2, hypertension have menorrhagia. Which is best treatment for her?
1. Combined pills
2. Mirena
3. Hysterectomy
4. Transcervical resection of endometrium

Correct answer: 2. Mirena

Explanation: Mirena: It is employed to control menorrhagia It has no action on ovaries therefore E2 and progesterone levels remain normal Reduces blood loss by 70%-90% in 3months Can be retained for 5yrs Ref: Shaw Gynecology 17 e pg 136.